A 20 year average weight female presented with oligomenorrhea and abnormal facial hair growth along with high serum free testosterone levels. On USG the ovaries are normal. The diagnosis :
1. Idiopathic hirsutism
2. PCOD
3. endometriosis
4. Adrenal hyperplaia

Correct answer: 2. PCOD

Explanation: Rotterdam criteria of PCOS Diagnosis of PCOS should be based on at least two of three major criteria, including (1) Oligo/anovulation, (2) Clinical or Biochemical signs of Hyperandrogenism (Hirusitism,Acne,Androgenic alopecia.) (3) Polycystic ovaries (as identified by ultrasonography), also excluding other androgen excess disorders Ref: Clinical Gynecologic Endocrinology and Infertility; Eigth edition; Chapter 12